Katayama fever is caused by -
1. F. hepatica
2. C. sinensis
3. S. mansoni
4. A. lumbricoides

Correct answer: 3. S. mansoni

Explanation: Katayama fever is caused by S. mansoni. Acute schistosomiasis (Katayama fever) Serum sickness like illness: Type III hypersensitivity. Option 1 Fasciola Hepatica - Sheep Liver Fluke Mode of transmission: Ingestion of aquatic plant contaminated with encysted metacercaria. Clinical manifestation: Hepatomegaly, Halzoin (laryngeal edema): d/t eating sheep liver and Bile duct obstruction Option 2 Clonorchis Sinensis - Oriental/Chinese liver fluke Mode of transmission: Ingestion of fresh water fish contaminated with encysted metacercaria Causes:Cholangitis, dilatation of the bile duct and ductal epithelial hyperplasia and Fibrosis and Cholangiocarcinoma Option 3 Schistosoma mansoni: Common in Africa including Caribbean Islands (West Indies), South America. Resides in INFERIOR mesenteric plexus Clinical manifestations: Katayama fever is a manifestation of acute schistosomiasis. Typical features include fever, an urticarial rash, enlarged liver and spleen, and bronchospasm. Acute schistosomiasis (Katayama fever) Serum sickness like illness: Type III hypersensitivity. Swimmer's itch (cercarial dermatitis): Type 1 hypersensitivity reaction Diagnostic form: Egg has lateral spine (feces), eggs of S. mansoni are acid fast. Option 4 Ascaris lumbricoides (Roundworm): causes GIT symptoms, Malabsorption, Intussusception and Loeffler syndrome